Which of the following is not a type of surgery done for entropion
1. Wheeler Procedure
2. Quickert Procedure
3. Kuhnt surgery
4. Lateral tarsal split procedure

Correct answer: 3. Kuhnt surgery

Explanation: * Kuhnt surgery is done for ectropion Entropion Surgeries * Hotz procedure for congenital entropion * Transverse sutures along lid * Anterior lamellar resection * Tarsal wedge resection * Modified Ketssey's operation * Transverse everting suture * Plication of Lid retractors- That is Jones Procedure * Making a scar between preseptal and pretarsal tissue- Weiss Procedure * Wheeler Procedure * Quickert Procedure- combination of jones and Weiss * Lateral tarsal split procedure